Which of the following pontic designs doesn’t have mucosal contact:
1. Ridge lap
2. Modified ridge lap
3. Ovate
4. Sanitary

Correct answer: 4. Sanitary